Trendelenburg test is positive due to injury to which of the following nerve
1. Obturator
2. Sciatic
3. Superior Gluteal
4. Inferior Gluteal

Correct answer: 3. Superior Gluteal

Explanation: TRENDELENBURG SIGN:- Normally, when the body weight is supported on one limb, the glutei of the supported side raise the opposite and unsupported side of the pelvis.However, if the abductor mechanism is defective, the unsupported side of the pelvis drops- Trendelenburg sign +ve. Sign is positive in defects of power- paralysis of the glutei medius and minimus ( supplied by superior gluteal nerve), defects of the fulcrum (congenital or pathological dislocation of hip), defects of weight. {Reference : BDC 6E pg no.70}